Which mediator of inflammation does NOT cause fever?
1. IL-1
2. TNF-a
3. Nitric Oxide
4. Prostaglandin

Correct answer: 3. Nitric Oxide

Explanation: PYROGENS: Exogenous pyrogen : LPS Endogenous pyrogen : IL1/TNF alpha - NO is free radical causes vasodilation.